All are seen in diphtheric outcome except
1. Pseudomembrane formation
2. Cardiomyopathy
3. Endotoxemia
4. Polyneuropathy

Correct answer: 3. Endotoxemia